An obese man complaints of burning pain on his right outer thigh. Pain increases while standing, walking or rubbing that area and relieved after sitting. Meralgia paresthetica is diagnosed clinically. Which nerve lesion is seen in Meralgia paresthetica?
1. Lateral cutaneous nerve of thigh
2. Sciatic nerve
3. Radial nerve
4. Cutaneous branches of obturator nerve

Correct answer: 1. Lateral cutaneous nerve of thigh

Explanation: Meralgia paresthetica is a disorder characterized by tingling, numbness, and burning pain in the anterolateral thigh. The disorder is also known as Bernhardt-Roth syndrome and lateral femoral cutaneous nerve entrapment. Meralgia paresthetica is caused by compression of the lateral femoral cutaneous nerve, which transmits sensation from the outer thigh to nerves in the spinal cord, as it exits the pelvis. The disorder occurs in men more than women. This disorder is associated with obesity, pregnancy, diabetes. Direct palpation often exacerbates symptoms. Hip extension during walking will put stretch on the nerve and aggravate symptoms. Ref: Practical Orthopaedic Sports Medicine & Arthroscopy By Donald H. Johnson, M.D., Robert A. Pedowitz, M.D. Ph.D., 2006, Page 518; Differential diagnosis in neurology and neurosurgery: a clinician's pocket guide, Page 243.